Tillaux fracture involves:
1. Lower end tibia
2. Upper end tibia
3. Lower end femur
4. Upper end femur

Correct answer: 1. Lower end tibia

Explanation: Tillaux fracture Lower tibial epiphysis injury (anterolateral part)